In steel richardson syndrome following are seen except -
1. Convulsion
2. Ataxia
3. Progressive supranuclear palsy
4. Dementia

Correct answer: 1. Convulsion